The most common condition of inherited blindness due to mitochondrial chromosomal anomaly is :
1. Retinopathy of prematurity
2. Leber's Hereditary Optic neuropathy
3. Retinitis pigmentosa
4. Retinal detachment

Correct answer: 2. Leber's Hereditary Optic neuropathy

Explanation: B i.e. Leber's hereditary optic neuropathy - Leber's hereditary optic neuropathy (WON) is a rare cause of bilateral optic neuritis Q which results from maternal mitochondrial DNA mutationsQ - Young male (15-35 years) presenting with bilateral sequential acute or subacute, severe, painless loss of vision with in weeks or months of first) in both eyes with normal (or brisk) papillary response, centrocecal scotoma and disc findings (hyperemia, edema, and talengiectatic microangiopathy) in acute phaseQ are diagnostic of leber's hereditary optic neuropathy.